Which of the following conditions is associated with microcytic hypochromic anemia:
1. Sickle cell Anemia
2. Thallassemia
3. Fanconi's anemia
4. Hereditary spherocytosis

Correct answer: 2. Thallassemia

Explanation: Answer is B (Thallassemia) Thalassemia is associated with Hypochromic Microcytic Anemia.